Berkesonian bias is due to:
1. Presence of confounding factors in both cases and controls
2. Questioning the cases more thoroughly as compared to controls
3. Different rates of admission to hospital due to different diseases
4. Better recall by the cases as compared to controls

Correct answer: 3. Different rates of admission to hospital due to different diseases

Explanation: Different rates of admission to hospital due to different diseases